All are true about pseudopancreatic cyst of pancreas except -
1. Common after acute pancreatitis
2. Present as an abdominal mass
3. Serum amylase is increased
4. Most common site is in head of pancreas

Correct answer: 4. Most common site is in head of pancreas